The 23 valent pneumococcal vaccine is recommended in all except -
1. CSF leak
2. Chronic cardiac disease
3. Children less than 2 years
4. Nephrotic syndrome

Correct answer: 3. Children less than 2 years